A preterm neonate with hyaline membrane disease needs to be treated with:
1. Dexamethasone
2. Betamethasone
3. Hydrocortisone
4. Surfactant

Correct answer: 4. Surfactant

Explanation: d. Surfactant(Ref: Nelson's 20/e p 854)Systemic or inhaled corticosteroids have been used, mainly in those infants with RDS, who continue to require respiratory support & in whom bronchopulmonary dysplasia (BPD) develops.Routine use of corticosteroids for the prevention or treatment of BPD is not recommended by the American Academy of Pediatrics.